Management of extradural hemorrhage is -
1. Antibiotics
2. Immediate evacuvation
3. Evacuvation after 24 hrs.
4. Observation

Correct answer: 2. Immediate evacuvation